Lucid interval is associated with:
1. Intracerebral hematoma
2. Subarachnoid hematoma
3. Extradural hematoma
4. All of the above

Correct answer: 3. Extradural hematoma

Explanation: Ans. C: Extradural hematoma A lucid interval is a temporary improvement in a patient's condition after a traumatic brain injury, after which the condition deteriorates. A lucid interval is especially indicative of an epidural hematoma.